Organism causing angular conjunctivitis is:
1. Moraxella bacillus
2. Pneumococci
3. Gonococci
4. Adenovirus

Correct answer: 1. Moraxella bacillus

Explanation: Moraxella bacillus